Coarctation of Aorta is most commonly associated with which of the following structural defects?
1. Patent Ductus Arteriosus (PDA)
2. Ventricular Septal Defect (VSD)
3. Atrial Septal Defect (ASD)
4. Bicuspid Aortic valve

Correct answer: 4. Bicuspid Aortic valve

Explanation: Coarctation of Aorta is associated with Bicuspid Aortic Valve in 40% of patients. Clinical manifestations of coarctation depend on site & extent of obstruction and the presence of associated cardiac anomalies, most commonly a bicuspid aortic valve. Ref: Current Surgical 12th Edition, Page 426; Harrison's 16th Edition, Page 1387.